On which of following does prognosis in male breast Ca depend.
1. Duration of disease
2. Nipple discharge
3. Ulceration of nipple
4. Lymph node status

Correct answer: 4. Lymph node status

Explanation: Ans is 'd' ie. Lymph node status Lymph node status is the best prognostic indicator in both females as well as males."The presence of nodal metastasis appears to have at least the same prognostic power in male as in women." - Sabiston, 16/e"The negative prognostic factors for breast cancer in men are the same as in women and include nodal involvement, tumor size, histologic grade, and hormone receptor status." - Sabiston 18/e, p 886